'Twin Fortified Salt' contains
1. Iodine +Fluorine
2. Iodine + Calcium
3. Iodine + Iron
4. Iodine + Chlorine

Correct answer: 3. Iodine + Iron

Explanation: National Institute of Nutrition (Hyderabad) developed 'Twin Fortified Salt' also known as 'Double Fortified sat' DFS contains salt, potassium iodide, ferrous sulphate and Sodium hexa meta phosphate DFS provides 40 mcg Iodine and 1 mg Iron Per gram of salt Ref: Park 22nd edition Pgno : 597